Isovolumic relaxation phase of the cardiac cycle ends with -
1. Peak of'C waves
2. Opening of A.V valve
3. Closure of semilunar valve
4. Begning of T wave

Correct answer: 2. Opening of A.V valve

Explanation: Period of Isovolumic (Isometric) Relaxation. At the end of systole, ventricular relaxation begins suddenly, allowing both the right and left intraventricular pressures to decrease rapidly. The elevated pressures in the distended large arteries that have just been filled with blood from the contracted ventricles immediately push blood back toward the ventricles, which snaps the aortic and pulmonary valves closed. For another 0.03 to 0.06 second, the ventricular muscle continues to relax, even though the ventricular volume does not change, giving rise to the period of isovolumic or isometric relaxation. During this period, the intraventricular pressures decrease rapidly back to their low diastolic levels. Then the A-V valves open to begin a new cycle of ventricular pumping Ref Harrison 20th edition pg 1583